Volume of air remaining in lung after normal expiration:
1. Functional residual capacity
2. Residual volume
3. Vital capacity
4. Both 1and 2

Correct answer: 1. Functional residual capacity

Explanation: Functionality residual capacity: amount of air remaining in the lung after normal expiration. Residual volume: amount of air remaining in the lung after forced expiration. Ref : G K Pal textbook of Practical physiology 4th edition, page number: 159